Avascular coat in eye is:
1. Sclera
2. Cornea
3. Retina
4. Choroid

Correct answer: 2. Cornea

Explanation: Ans. Cornea